In heterophoria prism is used:
1. With apex towards the direction of phoria in glasses for treatment
2. With apex towards the direction of phoria for exercises only
3. For exercises mainly in hyperphoria
4. To detect grade III of binocular vision

Correct answer: 1. With apex towards the direction of phoria in glasses for treatment

Explanation: Ans. With apex towards the direction of phoria in glasses for treatment